Which of the following is not a cause of hypermetropia:
1. Short axial length of the eyeball
2. Flat cornea
3. Increased refractive index of the cortex of lens
4. Anterior dislocation of the lens

Correct answer: 4. Anterior dislocation of the lens

Explanation: Ans. D: Anterior dislocation of the lens Factors responsible for hypermetropia: Short axial length of the eyeball Curvature hypermetropia commonly occurs as a factor in astigmatism (corneal plana) Index hypermetropia accounts for the hypermetropia of old age due to increased refractive index of the cortex of the lens relative to the nucleus so that overall refractive power of the lens decreases. It may be associated with diabetes, tumors, microphthalmia (a growth dysfunction during fetus development) and fovea hypoplasia, a condition that affects the blood vessels in the retina. While these conditions may result in hypermetropia, one of the most commonly cited causes of farsightedness is considered to be aging.